An unreasonable conduct from the part of patient which is combined with the doctor's negligence contribute to
1. Civil negligence
2. Criminal negligence
3. Contributary negligence
4. Corporate negligence

Correct answer: 3. Contributary negligence

Explanation: Contributary negligence Any unreasonable conduct from the part of the patient, which is combined with the doctor's negligence, causing injury is called contributary negligence. These include: Failure to give the doctor accurate medical history Failure to co operate with the doctor in carrying out his proper instructions Refusing to take the suggested treatment Leaving the hospital against the doctor's advice Failure to take further medical assistance if symptoms persist Ref: FORENSIC MEDICINE AND TOXICOLOGY Dr PC IGNATIUS THIRD EDITION PAGE 381